Treatment of mooren's ulcer is?
1. Topical steroids
2. Corneal graft
3. Immunosuppressives
4. All of the above

Correct answer: 4. All of the above

Explanation: Ans. (d) All of the aboveRef : A.K. Khurana 6th ed. /116, 4th Ed./109-110MOOREN'S ULCER* Moorens Ulcer/ chronic serpiginous or rodent ulcer is a severe inflammatory peripheral ulcerative keratitis.* Treatment:# Topical corticosteroids# Immunosuppressives with systemic steroids, e.g. cyclosporine# Soft contact lens# Lamellar or full thickness corneal grafting.